Transketolation mRNA is complementary to ?
1. Coding strand
2. Non-template strand
3. Non-coding strand
4. Sense

Correct answer: 3. Non-coding strand

Explanation: Ans. is 'c' i.e., Non-coding strand DNA is a double-stranded molecule. Each strand is a polymer of nucleotides (deoxyribonucleotides). Each strand possesses apalority. It has a 3' end and a 5' end. The two strands are antiparallel, i.e. they are parallel but run in opposite directions.The DNA 'sense (coding) strand' itself is not used to make protein. It is the DNA antisense (non-coding) or template strand which serves as the source for protein code, because, it is used as a template for the mRNA. Since transcription result in formation of mRNA which has base sequence complementary to template strand, its base sequence is same as for coding (non-template) strand.mRNA is used for translation (protein synthesis). So, mRNA is a complementary copy of template strand (non coding)and is exactly similar to non-tempelate (coding) strand, except. Uracil is there instead of thymine.